Which of the following is/are true about bronchiolitis in children – a) Caused by respiratory syncytial virusb) Hyperinflation of the chestc) Pleural effusiond) May lead to bronchial asthma later in lifee) Lymphopenia is seen
1. acd
2. bcd
3. abd
4. ab

Correct answer: 3. abd

Explanation: Bronchiolitis is caused most commonly by RSV.
Major concerns, include not only the acute effects of bronchiolitis but also the possible development of chronic airway hyperreactivity, i.e. asthma CPDT 18th /e 506

Pathogenesis of bronchiolitis